The best suited medium for Vibrio cholerae is:
1. Thayer main
2. TCBS medium
3. Scirrow medium
4. Loeffler's medium

Correct answer: 2. TCBS medium

Explanation: Ans. (b) TCBS medium